Which of the following statements is true regarding pertussis ?
1. Neurological complication rate of DPT is I in 50000
2. Vaccine efficacy is more than 95%
3. Erythromycin prevents spread of disease between children
4. The degree of polymorphonuclear Leukocytosis correlates with the severity of cough

Correct answer: 3. Erythromycin prevents spread of disease between children

Explanation: Ans. is 'c' i.e., Erythromycin prevents spread of disease between children o Efficacy of Pertusis Vaccine - reported to be from 70-90% o Risk of acute encephalopathy - is 1 in 40, 000 cases following DTP vaccine. o Pertusis toxin produces Lymphocytosis & not polymorphonuclear Leukoctyosis. Leukocytosis due to absolute lymphocytosis is characteristic in late catarrhal or paraoxysmal stage. o Prophylactic erythromycin prevents infecting bacteria to become established - prevents spread of disease - Park